Best uterine relaxation is seen with –
1. Chloroform
2. Nitrous oxide
3. Ether
4. Halothane

Correct answer: 4. Halothane

Explanation: All fluorinated inhalational agents (including halothane) can cause uterine relaxation. Traditionally, Halothane is considered as to posseses maximum uterine relaxant property.